Submandibular nodes are classified as -
1. Level 1A neck nodes
2. Level IB neck nodes
3. Level II neck nodes
4. Level III neck nodes

Correct answer: 2. Level IB neck nodes

Explanation: Ans. is 6b' i.e., Level IB neck nodes Division of neck nodes according to levelsLevel ISubmental (IA) Submandibular (IB)Level IIUpper jugularLevel IIIMid jugularLevel IVLower jugularLevel VPosterior triangle group (Spinal accessory and transverse cervical chains)Level VIPrelaryngealPretrachealParatrachealLevel VIINodes of upper mediastinum